Wickehm's stria seen in –
1. Lichen niditus
2. Lichenoid eruption
3. Lichen striates
4. Lichen planus

Correct answer: 4. Lichen planus

Explanation: The surface of lesion of lichen planus has white streaks when examined under magnifying lens → Wickham's stria.